Ligament below head of talus is:
1. Deltoid ligament
2. Plantar ligament
3. Interosseous ligament
4. Spring ligament

Correct answer: 4. Spring ligament

Explanation: Ans. D. Spring ligamentThe talocalcaneonavicular joint is a ball and socket joint: the rounded head of the talus being received into the concavity formed by the posterior surface of the navicular, the anterior articular surface of the calcaneus, and the upper surface of the plantar calcaneonavicular ligament/Spring ligament. The plantar calcaneonavicular ligament is a broad and thick band of fibers, which connects the anterior margin of the sustentaculum tali of the calcaneus to the plantar surface of the navicular. This ligament not only serves to connect the calcaneus and navicular, but supports the head of the talus, forming part of the articular cavity in which it is received.